In a preadolescent child, the maximum midline diastema that will be closed spontaneously after canine eruption:
1. 1 mm
2. 2 mm
3. 4 mm
4. 5 mm

Correct answer: 2. 2 mm

Explanation: The maximum midline diastema that will be closed spontaneously after canine eruption is not more than 2 mm. 
This is an example of transient malocclusion.